The histology of pterygium includes -
1. Elastotic degeneration
2. Epithelial inclusion bodies
3. Precancerous changes
4. d) Squamous metaplasia of the epithelium

Correct answer: 1. Elastotic degeneration

Explanation: Pathologically pterygium is a degenerative and hyperplastic condition of conjunctiva. The subconjunctival tissue undergoes elastotic degeneration and proliferates as vascularised granulation tissue under the epithelium, which ultimately encroaches the cornea. The corneal epithelium, Bowman's layer and superficial stroma are destroyed. ref: A K KHURANA OPHTALMOLOGY,E4, Page-80